Level of which hormone is likely to increase after hypothalamic ablation?
1. Growth hormone
2. Prolactin
3. FSH
4. ACTH

Correct answer: 2. Prolactin

Explanation: Prolactin secretion from the pituitary is normally inhibited by hypothalamic inhibitory factors, one of which is dopamine. Histamine also inhibits prolactin secretion, whereas serotonin and thyrotropin releasing hormone (TRH) stimulate its release. Causes of Hyperprolactinemia Lesions obstructing the inhibitory influence from the hypothalamus (e.g. craniopharyngioma, sarcoidosis, surgical ablation) Increased stimulation (elevated TRH in primary hypothyroidism). Prolactin-secreting pituitary adenomas. Exogenous sex steroids, phenothiazines, certain antidepressants, and antihypertensives may also cause hyperprolactinemia.